Measure of risk calculated from case-control study is -
1. Odds ratio
2. Relative risk
3. Attributable risk
4. Population attributable risk

Correct answer: 1. Odds ratio

Explanation: It's the measure of the strength of association between risk factor and outcome The disease being investigated must be relatively rare The cases must be representative of those with the disease The controls must be representatives of those without the disease Ref: 25th edition, Park's Textbook of Preventive and Social Medicine, Page no. 81